Early deceleration denotes:
1. Head compression
2. Cord compression
3. Placental insufficiency
4. Fetal distress

Correct answer: 1. Head compression

Explanation: Ans. is a, i.e. Head compressionRef. Dutta Obs. 9/e, p 569"Deceleration is defined as a decrease in fetal heart rate below the base line by 15 beats per minute or more." Three basic patterns of deceleration are observed, each of which has a diagnostic significance:FHR patternFeatureSeen inEarly decelerationDeceleration coincidences with a contraction Uniform onset, i.e. gradual takes > 30 sec and recovery Magnitude rarely >40 bpmHead compressionNot associated with fetal hypoxiaLate decelerationBegins at or after the contraction peak and touches baseline only after contraction Uniform onset, i.e. gradual takes> 30 secs and recoveryMay be of low magnitude 10-20 bpmUteroplacental insufficiency, Fetal hypoxia. It is an ominous findingVariable decelerationVariable relationship to contraction Ragged waveform. Abrupt in onset < 30 sec Variable magnitudeUmbilical cord compression M/C type of deceleration